Not true regarding serotonin syndrome is:
1. It is predictable and not idiosyncratic
2. SSRIs and MAOIs cause it
3. IV dantrolene is the treatment of choice
4. Hypertension, hyperthermia and hyperrelfexia are the signs

Correct answer: 3. IV dantrolene is the treatment of choice

Explanation: Dantrolene is not the treatment of choice, though it is at times used to control the hyperthermia. Serotonin Syndrome: It is predictable not idiosyncratic Neurotransmitter Basis Serotonin (5-HT) increase Causative Agents SSRI + MAOI (e.g., phenelzine) SSRI + serotonergic pain medication (e.g., meperidine, tramadol) SSRI + cough suppressant (e.g., dextromethorphan) Symptoms 1. Fever2. Autonomic instability3. Diarrhea4. Myoclonus5. Mental status changes6. Hyperkinesia7. Rapid onset Lab Findings No change in CPK or liver enzymes Management Stop agentSupportive treatment and antiserotonin agent (e.g., cyproheptadine)